Areas of peripancreatic fluid seen within the first 4 weeks after onset of interstitial oedematous pancreatitis is called:
1. Acute Peripancreatic fluid collection
2. Pseudocyst
3. WOPN
4. Abscess

Correct answer: 1. Acute Peripancreatic fluid collection

Explanation: APFC (acute peripancreatic fluid collection) This term applies only to areas of peripancreatic fluid seen within the first 4 weeks after onset of interstitial oedematous pancreatitis CECT criteria of peripancreatic fluid collection In the setting of interstitial oedematous pancreatitis Homogeneous collection Confined by normal peripancreatic planes No definable wall encapsulating the collection Ref: Gut 2013; 62:102-111. doi:10.1136/gutjnl-2012-302779.